Chorea with Schizophrenic symptoms, diagnosis is:
1. Cruetzfeld Jacob disease
2. Lewybody disease
3. Parkinson's disease
4. Huntington's disease

Correct answer: 4. Huntington's disease

Explanation: (D) Huntington's disease# Huntington's disease> Huntington's disease, also called Huntington's chorea, chorea major, or HD, is a genetic neurological disorder characterized after onset by uncoordinated, jerky body movements called chorea and a decline in some mental abilities, which can lead to affected aspects of behavior.> Physical The most characteristic symptoms are jerky, random, and uncontrollable movements called chorea, although, in a few cases, very slow movement and stiffness (called bradykinesia and dystonia) can occur instead, these can also become more prominent in later stages of the disorder.> Cognitive Selective cognitive abilities are impaired progressively. Specially affected are executive functions which include planning, cognitive flexibility, abstract thinking, rule acquisition, initiating appropriate actions and inhibiting inappropriate actions> Psychiatric These symptoms vary far more than cognitive and physical ones, and may include anxiety, depression, a reduced display of emotions (blunted affect), egocentrism, aggression, and compulsive behavior, which can cause, or worsen addictions, including alcoholism and gambling, or hypersexuality.